Bone resorption markers are -
1. Serum propeptide of type I procollagen
2. Osteocalcin
3. Urine total free deoxypyridinoline
4. Free glutamic acid cross linkage

Correct answer: 3. Urine total free deoxypyridinoline

Explanation: Markers of bone resorption

Urine & serum cross-linked N telopeptide
Urine & serum cross-linked C telopeptide
Urine total free deoxypyridinoline
Urine hydroxyproline
Urine hydroxylysine glycosides
Serum tartrate-resistant acid phosphatase
Serum bone sialoprotein